Recently approved NMDA blocker for the management of treatment resistant depression in adults is?
1. ESKETAMINE
2. SIPONIMOD
3. ERDAFITINIB
4. RISAKIZUMAB

Correct answer: 1. ESKETAMINE

Explanation: ESKETAMINE: a. Non - Competitive NMDA receptor antagonist b. Used for treatment of Resistant Depression in Adults c. Supplied as a spray for intranasal administration d. Comes with a BLACK BOX WARNING: 1. Risk for sedation and dissociation after administration 2. Potential for abuse and misuse 3. Increased risk of suicidal thoughts and behaviors in pediatrics and young adult patients taking antidepressants SIPONIMOD: a. Used for treatment for relapsing form of Multiple Sclerosis (MS). b. Oral administration c. Sphingosine -1- phosphate (S1P) receptor Modulator like FINGOLIMOD d. SIPONIMOD blocks the capacity of lymphocytes to egress from lymph nodes, reducing the number of lymphocytes in Peripheral blood. ERDAFITINIB: a. Tyrosine kinase inhibitor b. Used for bladder cancer RISANKIZUMAB: a. Mab against IL-23 b. Used in Plaque Psoriasis